Which of the following is not among Bleuler's 4A's of Schizophrenia?
1. Ambivalence
2. Apraxia
3. Affect disturbance
4. Autism

Correct answer: 2. Apraxia

Explanation: Loosening of Association is the 4th A which is missing in the above choices. This is however a very old classification with only historical significance. Autism is now considered as a seperate condition and the term it is not used to indicate negative symptoms of Schizophrenia. Apraxia is usually seen in stroke involving paretal lobe.